Action of progesterone is
1. Increased sensitivity of uterus to oxytocin
2. Inhibits LH secretion
3. Decreases basal body temperature
4. Causes proliferative changes in uterus

Correct answer: 2. Inhibits LH secretion

Explanation: Progesterone, hormone secreted by the female reproductive system that functions mainly to regulate the condition of the inner lining (endometrium) of the uterus. Progesterone is produced by the ovaries, placenta, and adrenal glands. Ref: guyton and hall textbook of medical physiology 12 edition page number:644,645,646